Modafinil is used as an adjunct in the treatment of?
1. Sleep apnea syndrome
2. Narcolepsy
3. ADHD
4. Shift work disorder

Correct answer: 1. Sleep apnea syndrome

Explanation: ANSWER: (A) Sleep apnea syndrome REF: Harrison's 18th ed ch: 27FDA approved indications of modahnil:Drug of choice: Narcolepsy and shift work disorderAdjunctive treatment of sleep apnea syndromeOff label uses (where use is doubtful)ADHDDepressionBipolar disorderFatigueDepersonalisation disorderCognitive enhancement